A screening test is more sensitive
1. Few false negative
2. Few false positive
3. More false positive
4. More false negative

Correct answer: 1. Few false negative